Diagnosis of CO poisoning post-mortem -
1. Blood thin and red coloured
2. Congestion of all organs
3. Cyanosis
4. Blister on skin

Correct answer: 1. Blood thin and red coloured

Explanation: Autopsy findings cherry red discoloration of skin,mucous membrane,nail bed blood is fluid fine froth in mouth and nose congestion of lungs,pulmonary edema hemorrhages in meninges and cox Features of asphyxia REF;THE SYNOPSIS OF FORENSIC MEDICINE:KS NARAYANA REDDY;28th EDITION;PAGE NO 360